Hampton hump is feature of ?
1. Pulmonary tuberculosis
2. Pulmonary embolism
3. Pulmonary hemorrhage
4. Bronchogenic carcinoma

Correct answer: 2. Pulmonary embolism

Explanation: Hampton's hump is a chest X-ray finding of PE.